Normal alveolar ventilation pressure on inspiration is
1. -1 cm water
2. -1 cm Hg
3. +1 cm water
4. +1 cm Hg

Correct answer: 1. -1 cm water

Explanation: Alveolar ventilation is normally adjusted by the respiratory control center in the brain to keep mean arterial and alveolar at about 40 mm Hg (see Chapter 9). Mean alveolar is about 104 mm Hg. The alveolar increases by 2 to 4 mm Hg with each normal tidal inspiration and falls slowly until the next inspiration Ref: guyton and hall textbook of medical physiology 12 edition page number:316,317,318